A patient (pigeon handler) presents with interstitial pneumonitis accompanied by headache, backache, and a dry, hacking cough. A pale, macular rash is also found on the trunk (Horder's spots). Likely organism is:
1. Histoplasma
2. Chlamydiae
3. Mycoplasma
4. Aspergillus

Correct answer: 2. Chlamydiae

Explanation: Chlamydiae